Superior vena cava is formed by?
1. Vitelline veins
2. Supracardinal vein
3. Infracardinal vein
4. Common cardinal vein

Correct answer: 4. Common cardinal vein

Explanation: Developmentally, the superior vena cava consists of two parts: first and second. The first part develops from the right anterior cardinal vein caudal to oblique transverse anastomosis. The second part develops from the right common cardinal vein. Reference: Textbook of clinical embryology, Vishram Singh,1st edition, page no.223-224